'Auer rods' are seen in -
1. Lymphoblast
2. Myeloblast
3. Erythroblast
4. Megakaryoblast

Correct answer: 2. Myeloblast

Explanation: Myeloblast is the earliest recognisable precursor of granulocytes.Myeloblast of AML may show presence of rod like cytoplasmic inclusions called Auer rods which represents abnormal derivatives of primary azurophilic granules. Reference : Harsh Mohan textbook of pathology, 7th edition.Pg no.324